MC site of ectopic pregnancy -
1. Fallopian tube isthmus
2. Fallopian tube ampula
3. Cervix
4. Ovary

Correct answer: 2. Fallopian tube ampula

Explanation: Ans. is 'b' i.e., Fallopian tube ampula * M.C. site of ectopic pregnancy - Fallopian tube (97%).* M.C. site of ectopic pregnancy in fallopian tube - Ampulla of the fallopian tube.# Ampulla > isthmus > infundibulum>interstitium.